A 45 year old man had a Subarachnoid hemorrhage from a intracranial aneurysm 6 years ago . He also had progressive renal impairment associated with hematuria  diagnosis is
1. PCKD
2. Medullary Sponge kidney
3. Liddle syndrome
4. Fanconi syndrome

Correct answer: 1. PCKD

Explanation: ADPCKD is associated with berry aneurysm.